Triangle of ausculatation is seen in
1. 5th intercostal space
2. 6th intercostal space
3. 7th intercostal space
4. 8th intercostal space

Correct answer: 2. 6th intercostal space

Explanation: Triangle of auscultation is seen in 6 the intercoastal space B D CHOURASIAS HUMAN ANATOMY UPPER LIMB THORAX VOLUME, 1 SIXTH EDITION, PAGE NO, 64